A patient presents with fever. Peripheral smears shows band across the erythrocytes. Diagnosis is ?
1. P Falciparum
2. P vivax
3. P ovate
4. P malariae

Correct answer: 4. P malariae

Explanation: Ans. is 'd' i.e., P malariae Band across erythrocytes (band-form trophozoites) is characteristic of P malariae.